Calcitonin causes hypocalcemia by:
1. Inhibiting bone resorption
2. Promoting osteolysis
3. Decreasing renal tubular reabsorption of calcium
4. Decreasing absorption of phosphorus

Correct answer: 1. Inhibiting bone resorption